Not a feature of conjunctivitis
1. Mucoid discharge
2. Impaired pupillary reactions
3. Chemosis
4. Halos

Correct answer: 2. Impaired pupillary reactions

Explanation: Impaired pupillary reaction is seen in optic nerve disorders or extensive retinal detachment . It is not seen in conjuvtivitis. C/F of conjunctivitis * Discharge: Watery, Mucoid, mucopurulent, Severe purulent * Hyperemia: Bacterial /viral infection. * Hemorrhage: Viral (enteroviral/ adenoviral / trauma). * Chemosis(swelling of conjunctiva): Viral/ Bacterial. . Normal pupillary reaction * Pseudomembrane/true membrane: Pseudomembrane doesnot bleed on removal * Infiltration * Subconjunctival scarring: Loss of goblet & accessory lacrimal glands (trachoma) lead to fibrosis . colored halos